Dorsal root ganglion contains ?
1. Dendrides of motor neuron
2. Dendrides of sensory neuron
3. Body of motor neuron
4. Body of sensory neuron

Correct answer: 4. Body of sensory neuron

Explanation: Ans. is 'd' i.e., Body of sensory neuron(Ref Ganong 23'd/e p'153)Dorsal root ganglion contains body (soma) of sensory neuron, coming from the receptor.